Oil drop is seen in
1. Psoriasis of nails
2. Clubbing
3. Lichen planus of nails
4. Tinea unguium

Correct answer: 1. Psoriasis of nails

Explanation: Oil drop sign is seen in nail psoriasis IADVL textbook of dermatology page 1035